Female health worker –
1. Covers 5000 population
2. Covers 1000 population
3. Covers 100 population
4. None

Correct answer: 1. Covers 5000 population

Explanation: Health worker (female or male) covers 5000 population in general or 3000 in hilly, tribal or backward area.